A 50-year-old male patient presented to the OPD with the complaint of progressive dysphagia for 4 months both to solids and liquids but more to the solids. There was history of significant weight loss, loss of appetite, pain while swallowing, a hoarse voice and cervical lymphadenopathy. Upper GI endoscopy and barium studies were conducted. During endoscopy a sample of the lesion was also taken and sent for HPE examination: - ] All of the following are risk factors for the above disease except: -
1. Smoking
2. Plummer Vinson syndrome
3. Achalasia cardia
4. Barrett's esophagus

Correct answer: 4. Barrett's esophagus

Explanation: This is a case of carcinoma esophagus (squamous cell carcinoma) 1ST image shows a mass in the lumen of the esophagus. 2nd image shows the rat tailing seen on Barium swallow in carcinoma esophagus. 3rd image shows the classical keratin pearl seen in squamous cell carcinoma. Barret's esophagus is a risk factor adenocarcinoma of the esophagus.